The eruption age maxillary permanent lateral of incisor is:
1. 8 — 9 years
2. 6 — 7 years
3. 10 — 11 years
4. 8 — 9 months

Correct answer: 1. 8 — 9 years